The vessel to look for when a maylard incision is given on anterior abdominal wall?
1. Superficial epigastric artery
2. Inferior epigastric artery
3. Superficial circumflex iliac artery
4. Deep circumflex iliac artery

Correct answer: 2. Inferior epigastric artery

Explanation: The superficial epigastric, superficial circumflex iliac, and superficial external pudendal arteries arise from the femoral artery just below the inguinalligament within the femoral triangle. These vessels supply the skin and subcutaneous layers of the anterior abdominal wall and mons pubis. Of surgicalimpoance, the superficial epigastric vessels, from their origin, course diagonally toward the umbilicus. With a low transverse skin incision, these vessels can usually be identified at a depth halfway between the skin and the anterior rectus sheath, above Scarpa fascia, and several centimeters from the midline.The inferior "deep" epigastric vessels and deep circumflex iliac vessels are branches of the external iliac vessels. They supply the muscles and the fascia of the anterior abdominal wall. When a Maylard incision is used for cesarean delivery, the inferior epigastric artery may be lacerated lateral tothe rectus belly during muscle transection. These vessels rarely may rupture following abdominal trauma and create a rectus sheath hematoma.Ref: William's Obstetrics; 24th edition; Chapter 2; Maternal Anatomy